All of the following drugs are protease inhibitors except
1. Nelfinavir
2. Saquinavir
3. Abacavir
4. Ritonavir

Correct answer: 3. Abacavir

Explanation: Refer KDT 6/e p767 All protease inhibitors end with NAVIR like Nelfinavir, saquinavir, and Ritonavir Abacavir is an NRTI